Rapidly progressive glomerulonephritis is histologically characterised by the presence of numerous -
1. Intramembranous dense deposits
2. Atrophic proximal convoluted tubules
3. Hyalinized small arterioles
4. Epithelial cell crescents

Correct answer: 4. Epithelial cell crescents

Explanation: Ans. is `d' i.e., Epithelial cell crescents